Recent marker for Downs syndrome is
1. HCG
2. Alpha fetoprotein
3. Inhibin
4. Estriol

Correct answer: 3. Inhibin

Explanation: Inhibin A is a protein secreted by the ovary, and is designed to inhibit the production of the hormone FSH by the pituitary gland. The level of inhibin A is increased in the blood of mothers of fetuses with Down syndrome. Reference: GHAI Essential pediatrics, 8th edition